Paradoxical undressing is seen in:
1. Hyperthermia
2. Hypothermia
3. Transvestism
4. Immersion syndrome

Correct answer: 2. Hypothermia

Explanation: Ans. Hypothermia